Which is not included in APACHE score
1. Serum bilirubin
2. GCS score
3. pH of blood
4. Age of patient

Correct answer: 1. Serum bilirubin

Explanation: Ans. (a) Serum bilirubinRef: Bailey & Love 26th ed. /1128APACHE score is: Acute Physiology and Chronic Health EvaluationThe APACHE II point score is calculated from 12 routine physiological measurements:* Age* Temperature (rectal)* Mean arterial pressure* pH arterial* Heart rate* Respiratory rate* Sodium (serum)* Potassium (serum)* Creatinine* Hematocrit* White blood cell count* Glasgow Coma ScaleAlso Know* Now APACHE III is also available. The APACHE III is used to produce an equation predicting hospital mortality after the first day of ICU treatment.* There are 4 components: Age, Major disease category (reason for ICU admission), Acute (current) physiology, and P rior site of healthcare (eg, hospital floor, emergency room, etc.).